Mark true in following:
1. Hanta virus pulmonary syndrome is caused by inhalation of rodent urine and feces
2. Kyanasur forest disease is caused by bite of wild animal
3. Lyssa virus is transmitted by ticks
4. None

Correct answer: 1. Hanta virus pulmonary syndrome is caused by inhalation of rodent urine and feces

Explanation: Hanta virus pulmonary syndrome is caused by inhalation of rodent urine and feces Hantavirus belong to Arboviruses The name "arbo" (arthropod borne) virus has been used for many years to denote viruses transmitted biologically by arthropods (mainly insect) vectors. Arboviruses were defined by world health organization scientific group as "Viruses that are maintained in nature principally, or to an important extent through biological transmission between. susceptible vertebrate hosts by hematophagous arthropods or through transovarian and possible veneral transmission in arthropods; the viruses multiply and produce viremia in the vertebrates, multiply in the tissues of arthropods and are passed on to new vertebrates by the bites of arthropods after a period of extrinsic incubation" However certain viruses within the six families of arboviruses are not transmitted by arthropods but are maintained in nature within rodent reservoirs that may transmit infection directly to human. These include Hantavirus genus of the family Bunyaviridae. Hantan viruses causes hemorrhagic fever with renal syndrome. Ilantavirus are natural pathogens of rodents, viremia is present in infected rodents and the virus is shed in urine, feces and saliva in high titres. Transmission from rodent to rodent and rodent to human is primarily respiratory by inhlation of virus contained in dried excreta. Also know, Other rodent borne viral diseases Lassa fever South American hemorrhagic fever Colorado tick fever About other options :? K.F.D. is transmitted by ticks The genus lyssavirus includes rabies virus and six other rabies related virus. Rabies virus has a wide host range. All warm blooded animals including humans can be infected. They are never transmitted by the bite of insects.